Which of the following is an indication for the use of raloxifene?
1. Chronic renal failure
2. Hypoparathyroidism
3. Renal osteodystrophy
4. Post-menopausal osteoporosis

Correct answer: 4. Post-menopausal osteoporosis

Explanation: -Raloxifene is a SERM used in post-menopausal osteoporosis. -It has additional advantage of causing decrease in risk of breast and endometrial cancer. -Major adverse effect of raloxifene is thromboembolism.